A 4 years old child was brought to the hospital with complains of abdominal mass and fever. On CT, crescent shaped, discrete & peripheral calcification was seen. Which of the following chemotherapy regimen is given in this condition?
1. FOLFOX
2. ECF
3. CAF
4. VCD

Correct answer: 4. VCD

Explanation: Hints in the question suggesting diagnosis of Wilms tumor - Age - Abdominal mass - Crescent shaped, discrete and peripheral calcification Chemotherapy regimen used in Wilms tumor- Vincristine, Cyclophosphamide, Doxorubicin/Dactinomycin CA esophagus & CA stomach ECF (Epirubicin + Cisplatin + 5-FU) Colorectal carcinoma FOLFOX-IV Folinic add /Leucovorin + 5-FU) CA Breast CAF (Cyclophosphamide + Adriamycin + 5-FU) Staging Pre-chemotherapy staging Post-chemotherapy staging - Preferred by National Wilms Tumor Staging System (NWTS system) - Staging & surgery is done beforechemotherapy - Preferred by International society ofPediatric Oncology (SIOP staging system)- Staging & Surgery is done afterchemotherapy